Okazaki fragment
1. DNA fragment
2. RNA fragment
3. DNA fragment with RNA head
4. RNA fragment with DNA head

Correct answer: 3. DNA fragment with RNA head

Explanation: The small DNA molecules attached to its own primer RNA are called Okazaki fragments The synthesis along the lagging strand is in 5'-3' direction As it moves, the primers synthesizes short RNA primer to which deoxynucleotides are added by DNA polymeraseRef: DM Vasudevan, 7th edition, page no: 581